In proteins the α-helix and β-pleated sheet are examples of:
1. Primary structure
2. Secondary structure
3. Tertiary structure
4. Quaternary structure

Correct answer: 2. Secondary structure

Explanation: The term “secondary structure” denotes the configurational relationship between residues, which are about 3–4 amino acids apart in the linear sequence.
Reference: Vasudevan 7th  ed, pg 36